OCP failure by rifampicin is due to -
1. Decreased absorption of OCP
2. Increased binding of OCPs by rifampicin and reduced free drug concentration
3. Increased metabolism of drug
4. Increased chances of ovulation due to rifampicin

Correct answer: 3. Increased metabolism of drug

Explanation: Ans. is 'c' i.e., Increased metabolism of drug